Brainstem dead are all, except:
1. Weaned off from ventilator, no respiration for 15 sec
2. Absent pupillary response
3. Absent nystagmus
4. Absent corneal reflex

Correct answer: 1. Weaned off from ventilator, no respiration for 15 sec

Explanation: Ans.Weaned off from ventilator, no respiration for 15 sec